Screening for Down's syndrome should be done in the age group in pregnancy:
1. 30
2. 35
3. All in the reproductive age group
4. None of the above

Correct answer: 3. All in the reproductive age group

Explanation: Ans. is c, i.e. All in reproductive age groups.Ref. Williams Obs. 23/e, p 296, Fernando arias 2/e, p 26Most important factor for Down syndrome is maternal ageAs age of mother increases risk of down syndrome increases. Current recommendations for screening of Down syndrome are universal screening, i.e. it should be done in all pregnant females of all age.In 30 years : 1 in 1000In 35 years : 1 in 350In 40 years : 1 in 10045 years : 1 in 30